Which of the following is the most common cause of Superficial Thrombophlebitis?
1. Intravenous catheters / Infusion
2. DVT
3. Varicose veins
4. Trauma

Correct answer: 1. Intravenous catheters / Infusion

Explanation: Most common cause of superficial thrombophlebitis is an intravenous catheter. Ref: Hurst's The Heart By Valentin Fuster, Richard A. Walsh, Robert A. Harrington, 13th Edition, Chapter 109; Doctor C's Medical Guide By Joseph Ciabattoni, Page 102; Primary Care Medicine: Office Evaluation and Management of The Adult Patient By Allan H. Goroll, 6th Edition, Page 317; Sclerotherapy By Robert A. Weiss, Page 251